FFP not used in ?
1. TTP
2. Factor XII deficiency
3. Vitamin K deficiency
4. Antithrombin III deficiency

Correct answer: 2. Factor XII deficiency

Explanation: Ans. is 'b' i.e., Factor XII deficiencyFresh frozen plasma (FFP)FFP is defined as the fluid portion of human blood that has been centrifuged, separated, and frozen solid at -18degc within 6 hours.FFP contains stable coagulation factors and plasma proteins :(i) Fibrinogen (iii) Albumin & Immunoglobulin(v) Factor II, V, VII, IX, X, XI(ii) Antithrombin(iv) Protein C, S.Indications for the use of FFP are : ?Deficiencies of factor II, V, VII, IX, X and XI when specific component therapy is neither available nor appropriate.Emergency reversal of warfarin effect.In vit K deficiency as replacement for Vit K dependent factors (II, VII, IX, X)Antithrombin III deficiencyAfter massive blood transfusion.In immunodeficiency as a source of immunoglobulinTTP